Which is the most common position in breech presentation?
1. Right sacroanterior
2. Left sacroanterior
3. Right sacroposterior
4. Left sacroposterior

Correct answer: 2. Left sacroanterior

Explanation: Sacrum is the denominator of breech and there are four positions. Most common position in breech presentation is left sacroanterior. Right sacroanterior is the second most common, right sacroposterior is the third most common and left sacroposterior is the fourth most common position. Breech presentation is the most common malpresentation. In this, lie is longitudinal and podalic pole presents at the pelvic brim.